A 47-year-old female tennis professional is informed by her physician that she has a rotator cuff injury that will require surgery. Her physician explains that over the years of play a shoulder ligament has gradually caused severe damage to the underlying muscle. To which of the following ligaments is the physician most likely referring?
1. Acromioclavicular ligament
2. Coracohumeral ligament
3. Glenohumeral ligament
4. Coracoacromial ligament

Correct answer: 4. Coracoacromial ligament

Explanation: Coracoacromial ligament prevents superior displacement of the head of the humerus. the ligament can cause inflammation or erosion of the tendon of the supraspinatus muscle as the tendon passes back and forth under the ligament. Acromioclavicular ligament, connecting the acromion with the lateral end of the clavicle, is not in contact with the supraspinatus tendon. Coracohumeral ligament is located too far anteriorly to impinge upon the supraspinatus tendon. Glenohumeral ligament is located deep to the rotator cuff muscles and would not contribute to injury of the supraspinatus muscle.